VDRL is a -
1. Slide flocculation test
2. Tube floccolation test
3. Gel precipitation test
4. Indirect haemagglutination test

Correct answer: 1. Slide flocculation test

Explanation: The VDRL test for syphilis is an example of a slide flocculation test. When a drop each of the antigen and the antiserum are placed on a slide and mixed by shaking, floccules appear. Reference: Anathanarayan & paniker's 9th edition, pg no: 106